Light entering the eye first passes through _______ retinal layer?
1. Inner nuclear layer
2. Outer nuclear layer
3. Outer plexiform Layer
4. Retinal ganglion layer

Correct answer: 4. Retinal ganglion layer

Explanation: Light passes through the retinal ganglion layer, the most anterior layer of the retina. Light then passes through other layers of the retina until it reaches the photoreceptors in the posterior region of the retina. Retina is organised into 10 layers or zones where distinctive components are clustered together to form continuous strata. Light passes in the direction: Vitreous humor(anterior) - Choroid (most posterior) encountering the cell layers in that direction (ganglion cell layer - photoreceptor) Visual processing/Phototransduction occurs in the opposite direction (Photoreceptors - Ganglion cell layer) Ref: Guyton and Hall 13th edition Pgno: 674